Which part of maxillary artery is closely involved in Le Fort 1,2 and 3 injuries?
1. Mandibular part
2. Pterygoid part
3. Pterygoid palatine part
4. Terminal part

Correct answer: 3. Pterygoid palatine part